Nucleus of basal ganglia :
1. Dentate
2. Thalamus
3. Caudate
4. Red nucleus

Correct answer: 3. Caudate

Explanation: C i.e. Caudate nucleus